The capacity of balloon tamponade to arrest PPH is around __________
1. 100-300 ml
2. 300-500 ml
3. 500-700 ml
4. 650-850 ml

Correct answer: 2. 300-500 ml

Explanation: The capacity of balloon tamponade to arrest PPH is around 300-500 ml. A Bakri postpartum Balloon may be inserted and inflated to tamponade the endometrial cavity and stop bleeding. Insertion requires two or three team members. One to perform abdominal sonography during the procedure. Another to place the deflated balloon into the uterus and stabilize it. The third member instills fulid to inflate the balloon, rapidly infusing at least 150 ml followed by further instillation over a few minutes for a total of 300 to 500 ml to arrest hemorrhage. Ref: Williams Obstetrics 24th edition Pgno: 786